Zika virus is transmitted through
1. Anopheles mosquito
2. Aedes mosquito
3. Culex mosquito
4. Fruit fly

Correct answer: 2. Aedes mosquito

Explanation: Zika virus disease is caused by a virus transmitted primarily by Aedes mosquitoes, which bite during the day. Symptoms are generally mild and include fever, rash, conjunctivitis, muscle and joint pain, malaise or headache. Symptoms typically last for 2-7 days. Most people with Zika virus infection do not develop symptoms. Zika virus infection during pregnancy can cause infants to be born with microcephaly and other congenital malformations, known as congenital Zika syndrome. Infection with Zika virus is also associated with other complications of pregnancy including preterm birth and miscarriage. An increased risk of neurologic complications is associated with Zika virus infection in adults and children, including Guillain-Barre syndrome, neuropathy and myelitis. Ref:Park's Textbook of Preventive and Social Medicine 25th Ed Pg.301